For color vision, which is true?
1. Independent of wavelength of light
2. Depends on intensity discrimination
3. Involves opponent color cells
4. Minimum at fixation point

Correct answer: 3. Involves opponent color cells

Explanation: Ans. (c) Involves opponent color cells(Ref: Ganong, 25th ed/p. 191)Opponent process theory of color vision was proposed by HeringThis theory states that the three primary colors red, blue and green opposes one another so that the opponent color processing cell can't detect the presence of both colors at the same time